Post-mortem staining' is distinguished from bruise by all except
1. Occurs in dependent parts
2. Edges are clearly Defined
3. Absent in areas of body under pressure
4. Extravasation of blood into surrounding tissues occur

Correct answer: 4. Extravasation of blood into surrounding tissues occur

Explanation: Extravasation of blood into surroundings tissues is not possible in postpartum staining. Ref synopsis of forensic medicine laxminarayana 4e